Thin filament is mainly composed of
1. Actin
2. Myosin
3. Tropomyosin
4. Dystrophin

Correct answer: 1. Actin

Explanation: The thick filaments are made of myosin molecules. The thin molecules are made of actin.(Ref: Textbook of physiology N Geetha 2nd edition page no.38)